Migrating motor complexes
1. Occur upon arrival of food in the stomach
2. Begin in the lower part of the small intestine
3. Are initiated by pacemaker cells in the small intestine
4. Occur at a rate of 5 cms per minute from the stomach

Correct answer: 4. Occur at a rate of 5 cms per minute from the stomach

Explanation: MMC's are seen during fasting, they begin at the stomach and extend up to distal ileum Ref: Ganong 25th ed/page 497